All of the following are used in cryosurgery except-
1. A Liquid nitrogen
2. Argon
3. Helium
4. Carcon dioxide

Correct answer: 3. Helium

Explanation: Ans. is 'c' i.e., Helium [Ref: style="font-size: 1.04761904761905em; font-family: Times New Roman, Times, serif; margin: 0 0 0 8px; text-indent: 0">Cryosurgeryo Cryosurgery (cryotherapy) is the use of extreme cold in surgery to destroy abnormal or diseased tissueAgent used in cryosurgery# carbon dioxide# liquid nitrogen# argon# dimethyl ether